Ataxia abasia is seen in ?
1. Conversion disorder
2. PTSD
3. Depression
4. Manic

Correct answer: 1. Conversion disorder

Explanation: Ans. is 'a' i.e., Conversion disorder Symptoms of conversion disorder Sensory symptoms (in ICD -10 dissociative anesthesia & Sensory loss): - Anaesthesia andparesthesia are common, especially of extremities. All sensory modilities (Pain, temperature, touch, proprioception) are affected at same level, and the disturbance is not consistent to the distribution of dermatomes. Thus, clinicians may see the characteristic glove and stocking anaesthesia of hands or feet or hemianesthesia of body beginning precisely along the midline. Deafness, blindness or contracted visual fields (tubular or tunnel vision). Motor symptoms (In ICD-10 Dissociative motor disorder) : - Abnormal movement, paralysis, Weakness, gait disturbances (ataxia-abasia), Aphonia, Torticollis, Opisthotonus, blepherospasm. Seizure symptoms (In ICD-10 Dissociative convulsions) : - Earlier known as hysterical fits or pseudoseizures, dissociative convulsions are characterized by convulsive movements and partial loss of consciousness. Dissociative convulsions should be differentiated from true convulsions : - Tongue biting, Urinary incontinence and injury are uncomomn (in contrast to true convulsions, In which these are common). Never occurs during sleep (in contrast, true convulsions can occur anytime and during sleep). Usually occur in safe place or indoors (in contrast, true convulsions can occur anywhere). Usually occurs when people are observing (in contrast, true convulsion can occur with or without people observation). Normal prolactin level in postictal period (in contrast, serum prolactin is usually raised in post-ictal period after true convulsions). There is no or partial amnesia about the episode (In contrast, true convulsion has complete amnesia).